Schizophrenia word means
1. Split mind
2. Split mood
3. Split thoughts
4. Split associations

Correct answer: 1. Split mind

Explanation: Eugen Bleuler (1911), while renaming dementia praecox as schizophrenia (meaning mental splitting), recognised that this disorder did not always have a poor prognosis as described by Kraepelin. He also recognised that schizophrenia consisted of a group of disorders rather than being a distinct entity. Ref: A Short Textbook of Psychiatry, Niraj Ahuja, 7th Edition, pg. no. 54